Mild hoarseness with stridor is seen in:
1. Unilateral abductor palsy
2. Bilateral abductor palsy
3. Laryngomalacia
4. Tracheal stenosis

Correct answer: 2. Bilateral abductor palsy

Explanation: (b) Bilateral abductor palsy(Ref. Current Diagnosis & Treatment Otolaryngology, Lalwani, 3rd ed., 478)Laryngomalacia and tracheal stenosis do not affect the VC hence voice remain normal in these though stridor is present.